Which among the following is having the maximum biological value?
1. Egg
2. Milk
3. Soybean
4. Pulses

Correct answer: 1. Egg

Explanation: Biological Value (BV) of Protein It is the ratio between the amount of nitrogen retained and nitrogen absorbed during a specific interval. BV= Retained nitrogen x 100/Absorbed nitrogen Source of protein Biological Value Egg 90 Milk 84 Meat 80 Fish 85 Rice 64 Wheat 58 Bengal gram 58 Groundnut 54 Soybean 64 Ref: Textbook of Biochemistry for Medical Students By Dm Vasudevan, 2010, Page 438-439.